All of the following are adverse effects of unfractionated heparin except:-
1. Alopecia
2. Osteoporosis
3. Thrombocytosis
4. Bleeding

Correct answer: 3. Thrombocytosis

Explanation: Adverse effects of heparin are B: Bleeding O: Osteoporosis T: Thrombocytopenia H: Hyperkalemia A: Alopecia